Double track sign is seen in
1. Duodenal atresia
2. CHPS
3. Gastric ulcer
4. Achalasia

Correct answer: 2. CHPS

Explanation: Double/triple track sign is seen in congenital hypertrophic pyloric stenosis